Type of schizophrenia with intellectual disability is
1. Von gogh syndrome
2. Paranoid schizophrenia
3. Catatonic schizophrenia
4. Pfroph schizophrenia

Correct answer: 4. Pfroph schizophrenia

Explanation: froph's schizophrenia: This is a syndrome of schizophrenia occurring in the presence of Intellectual Disability. it differs from schizophrenia in only that there is often a poverty of ideation and delusions are not usually very well systematized. therefore, behavioural disturbances are much more prominent than delusions and hallucinations Schizophrenia DSM-5 DSM-5 has deleted all subtypes Delusion hallucinations disorganized speech grossly disorganized or catatonic behaviour negative symptoms Duration >1month (active phase of illness) Impairment in work, interpersonal, self-care during the period of illness All these should be present for >6 months which includes ICD-10 requires a duration of-of month subtypes Paranoid presence of one or more delusions and frequent auditory hallucinations. Most common*. Good prognosis *if treated. Age of onset middle age Disorganized (Hebephrenic) thought disorder, disorganized behaviour and flat or inappropriate affect. Delusions and hallucinations, if present, are poorly systematized. They have Poor premorbid function*, an insidious onset during adolescence*, a continuous course*, and a poor prognosis* Catatonic* common in low SES. >2 of following symptoms: Immobility (stupor or catalepsy*) excessive purposeless motor activity negativism peculiar movements(posturing,stereotypy,mannerisms,grimacing); echolalia*- or echopraxia* Undifferentiated diagnosis is through the exclusion of the other subtypes. Includes those who meet criteria for schizophrenia but cannot be placed into any subtypes Residual* Have met the criteria for schizophrenia before, have negative symptoms, residual symptoms, but no longer have psychotic symptoms the catalepsy*-a person maintains the body position(even painful) into which they are placed. echolalia*-repetition of words ; echopraxia*- repetition of movements Reference: P.61 Textbook of Psychiatry , Neeraj Ahuaja